Development of supporting tissues of the tooth is initiated by
1. Cells of dental follicle
2. Cells of odontogenic layer
3. Cementoblasts
4. Cells of the gingiva

Correct answer: 1. Cells of dental follicle